Otomycosis is most commonly caused by
1. Aspergillus
2. Candida Albicans
3. Mucormycosis
4. Histoplasmosis

Correct answer: 1. Aspergillus

Explanation: Fungal (otomycosis):- Caused by Aspergillus (most common) and candida (2nd most common)Rare causative fungus are Phycomycetes, Rhizopus, Actinomyces, PenicilliumRef: PL Dhingra, Diseases of Ear, Nose & Throat, 7th edition, pg no. 55